What is the average number of fleas of each species per rodent called -
1. General Flea index
2. Specific Flea index
3. Incidence of Fle species
4. Flea infestation Rate

Correct answer: 2. Specific Flea index

Explanation: It is the average number of each species per rat/rodent. Reference:Park's textbook of preventive and social medicine,K.Park,23rd edition,page no:294.